Cicatrisisng trachoma is seen in -
1. Stage-1
2. State-2
3. Stage-3
4. Stage-4

Correct answer: 3. Stage-3

Explanation: McCallan's classification-McCallan in 1908 divided the clinical course of trachoma into 4 stages. Stage 1 Stage 2 Stage 3 Stage 4 (Incipient trachoma) (Established tracoma) (Cicatrisisng trachoma) (Healed trachoma) Hyperaemia of palpebral Appearance of Scarring of palpebral Disease is cured or is not conjunctivapapillae mature folliucle & markable Sequelae to cicatrisation Immature follicle conjunctiva Scars are easily visible as cause symptoms Mild superfecial punctate Progressive corneal white bands keratopathy pannus Necrosis Stage 2 is further subdivided into :- o 2a (IIa) :- Presence of mature follicles o 2b (IIb):- Marked papillary hyperplasia Ref: Parson's 22nd/e p.174 & 21st/e p.174